Target sign on USG is seen in
1. Congenital hypertrophic pyloric Stenosis
2. Gastric ulcers
3. Achalasia
4. All the above

Correct answer: 1. Congenital hypertrophic pyloric Stenosis

Explanation: Target sign - hypoechoic ring and hypertrophied pyloric muscle around echogenic mucosa
Centrally on transverse Scan - Seen in CHPS.